Rider's bones are ossification of
1. Adductor brevis
2. Adductor longus
3. Adductor magnus
4. Flexor digitorum superficialis

Correct answer: 2. Adductor longus

Explanation: Rider's bone develops in the tendon of adductor longus in professional riders. It is a sesamoid bone.that has no periosteum and ossifies after birth. Reference: BD Chaurasia's handbook of general anatomy, 5th edition, pg 55